Vascular invasion is a prominent feature of
1. Cryptococcus
2. Mucor
3. Candida
4. Rhinosporidium

Correct answer: 2. Mucor

Explanation: Vascular invasion is a feature of Mucormycosis causing thrombosis, infarction.